In central serous retinopathy –
1. Often shows focal leakage on fluorescein fundus photography
2. A macular hole is a common end result
3. The image perceived by the patient on the affected side in unilateral cases is bigger than on the normal side
4. A dense central scotoma is the most common presentation

Correct answer: 1. Often shows focal leakage on fluorescein fundus photography

Explanation: Fluorescein angiography shows focal leakage of fluorescein in cenral serous retinopathy.
Image of an object is perceived smaller than normal side, i.e., metamorphosia.
Common end result is spontaneous healing
Most common presentation is sudden painless loss of vision.